All of the following are Antibiotic Sensitivity testing except
1. Agar dilution
2. Epsilometer test
3. Tube dilution
4. Culture dilution

Correct answer: 4. Culture dilution

Explanation: Antibiotic Sensitivity testing

KB method
Stokes
Agar dilution
Tube dilution
E-test